Male started drinking alcohol at age of 20 years, presently taking 3 quarters daily over 30 years, complains that now he gets the kick in 1 quarter. Probable diagnosis is:
1. Tolerance
2. Mellanby phenomenon
3. Reverse tolerance
4. Cross tolerance

Correct answer: 3. Reverse tolerance

Explanation: Reverse tolerance refers to the phenomenon where the intoxicating effects of alcohol are seen progressively with lower dosages. Tolerance is the need or increased amounts of the substance to achieve the same positive psychological effect. Cross-tolerance is the development of tolerance to one substance as the result of using another substance. Mellanby effect- Intoxicating effects at a particular BAC